Elastic cartilage is found in -
1. Auditory tube
2. Nasal septum
3. Articular cartilage
4. Costal cartilage

Correct answer: 1. Auditory tube

Explanation: Auditory tube contains elastic cartilage.
Costal cartilages, nasal cartilages (including nasal septum) and articular cartilage are hyaline cartilage.